A child age 5 years, presents with loss of vision and mild proptosis of left eye . On examination direct is absent but consensual is present in left eye. He is having:
1. Optic nerve glioma
2. Optic sheath meningioma
3. Retinoblastoma
4. Optic disc angioma

Correct answer: 1. Optic nerve glioma

Explanation: A i.e. Optic nerve glioma